What is NOT seen in occulomotor palsy
1. Lateral and upward gaze
2. Ptosis
3. Loss of light reflex
4. Dilatation of pupil

Correct answer: 1. Lateral and upward gaze

Explanation: The paralysis of third nerve results in : Ptosis or drooping upper eye lid - paralysis of levator palpebrae superior. Lateral squint (lateral & downward gaze) Dilation of pupil - paralysis of parasympathetic fibers to sphincter pupillae muscle. Loss of accommodation Foreward projection of eye / proptosis Diplopia